Negative phase is seen in _________ immunity
1. Active
2. Passive
3. Herd
4. Local

Correct answer: 1. Active